In case of hanging neck ligature marks are example of -
1. Contusion
2. Pressure abrasion
3. Lacerration
4. Bruise

Correct answer: 2. Pressure abrasion

Explanation: The synopsis of forensic medicine & toxicology - Dr k.s.narayan reddy ;28th edition; Pg no. 105 Also called crushing or friction abrasion. The are caused by crushing of superficial layer of epidermis & are associated with bruise of the surrounding area . occurs when movement of instrument is around 90deg to the skin .hanging ,strangulation ,teeth bite marks are examples .